All of the following statements about slotretained complex amalgams are true except _____.
1. Slots should be 1.5 mm in depth.
2. Slots should be 1 mm or more in length.
3. Slots may be segmented or continuous.
4. Slots should be placed at least 0.5 mm inside the DEJ.

Correct answer: 1. Slots should be 1.5 mm in depth.

Explanation: The longer a slot, the better. They should be inside the DEJ and prepared with an inverted cone bur to a depth of 1 mm.